Corpulmonale is heart disease due to:
1. COPD affecting right ventricle
2. Left ventricular failure
3. Pericardial effusion
4. None of the above

Correct answer: 1. COPD affecting right ventricle